Werneks's encephalopathy is characterized by all except
1. Global confusion
2. Ataxia
3. Aphasia
4. Abducent nerve paralysis

Correct answer: 3. Aphasia

Explanation: *wernicke's encephalopathy is characterised by nystagmus ,opthalmoplegia due to 6th cranial nerve involvement,ataxia and confusion. Wernicke's encephalopathy is the presence of neurological symptoms caused by biochemical lesions of the central nervous system after exhaustion of B-vitamin reserves, in particular thiamine (vitamin B1). Ref Harrison20th edition pg 2775